Enzyme causing covalent bond cleavage without hydrolysis
1. Lyase
2. Ligase
3. Hydrolase
4. Transferase

Correct answer: 1. Lyase

Explanation: These enzymes can remove groups from substrates or break bonds by mechanisms other than hydrolysis. For example, Fructose-1,6-bisphosphate -------- Glyceraldehyde-3-phosphate +dihydroxy acetone phosphateRef: DM Vasudevan, Page no: 41